Beck’triad of cardiac tamponade includes all except
1. Hypertension
2. Absent heart sounds
3. Raised JVP
4. Hypotension

Correct answer: 1. Hypertension

Explanation: Cardiac tamponade has hypotension